A change in color of medium from green to yellow after 48 hours during Snyder’s test is indicative of?
1. No caries activity
2. Slight caries activity
3. Marked caries activity
4. Definite caries activity

Correct answer: 4. Definite caries activity